The cytogenetics of chromophilic renal cell carcinoma is characterized by:
1. Mutant VHL gene
2. Loss of 3p
3. Trisomy 7/17
4. Loss of 5q 3

Correct answer: 3. Trisomy 7/17

Explanation: Chromophilic renal cell cancer is the other name of papillary renal cell cancer because 80% of chromophilic renal cell cancers show a tubulopapillary architecture. Papillary cancer is associated with trisomy 7, 16, 17.